A two way process of exchanging or shaping ideas,
feeling and information is called as
1. Education
2. Communication
3. Interview
4. Suggestion

Correct answer: 2. Communication